Transabdominal CVS can be done in:
1. 7-9 weeks
2. 11-13 weeks
3. 8-9 weeks
4. done before 10 weeks

Correct answer: 2. 11-13 weeks

Explanation: chorionic villous sampling trancervical:done in 10-12 weeks transabdominal:10 weeks to term D.C.DUTTA'S TEXTBOOK OF OBSTETRICS,Pg no:107,7th edition